Total score in Mini Mental Status Examination (MMS
1. 25
2. 30
3. 32
4. 35

Correct answer: 2. 30

Explanation: Ans. is 'b' i.e., 30 Mini-mental status examination (MMSE)o The mini-mental status examination offers a quick and simple way to quantify congnitive function and screen for cognitive impairement It helps to confirm the presence of cognitive impairment and to follow the progression of dementia. It tests individual's orientation, attention, calculation, recall, language, and motor skills. Each section of test involves a related series of questions or commands. The individual receives one point for each correct answer. The individual can receive a maximum score of 30 points, i.e., MMSE is 30 point programme to evaluate cognitive function.QuestionsPointsOrientationo Name : season/date/dav/month/yearo Name : Hospital'fooritowfrstate,''country5 (1 for each name)5 (1 for each name)Registrationo Identify three objects by name and ask the patient to repeat3 (1 for each object)Attention & calculationo Serial 7s; subtract from 100(e.g., 93-86-79-72-65)5 (1 for each substruction)Recallo Recall the three objects presented earliero Languageo Name pencil and watcho Repeat "No ifs and, or buts"o Follow a 3 step command (e.g., "Take this paper, fold it in half, and place it on table'')o Write "close your eyes'' and ask the patient in obey written commando Ask patient to write a sentenceo Ask patient to copy a design (e.g., intersecting pentagons)3 (1 for each object)1 (1 for each object)13 (1 for each command)111Total30o A score of 25 or above suggests normal cognition. A score below 25 suggests possible cognitive impairment and a score below 20 indicates definite impairment.